39 years female, 40 weeks gestation, 4mm dilated cervix. Which is the safest option for analgesia-
1. Intramuscular pentazocin
2. Epidural block
3. Pudendal block
4. Premixed nitrous oxide and oxygen

Correct answer: 2. Epidural block

Explanation: Ans. is 'b' i.e., Epidural block o When complete relief ofpain is needed throughout labour, epidural analgesia is the safest and simplest method.o For Vaginal delivery - a complete block from T10 to S5For Caesarian section - a complete block from T4 to SI is needed.o Paracervical nerve blockUsed for pain relief during first stage of labour.o Pudendal nerve block:Does not relieve pain of labour but produces perineal analgesia and relaxation and is mostly used for forceps and vaginal breech delivery).